Mass spectrometry is used for:
1. Pulp vitality assessment.
2. Protein and body fluid assessment.
3. Pulpal blood flow assessment.
4. Pulpal nerve stimulation assessment.

Correct answer: 2. Protein and body fluid assessment.

Explanation: Mass Spectrometry (MS) is new chemical method used For

Determination of the primary structure of proteins
Assessment of body fluid
Detection of post-translational modifications